TRUE about simple random sampling is:
1. All person have equal right to be selected
2. Only selected person have right to be selected
3. Technique provides least number of possible samples
4. Every fixed unit is taken for sampling.

Correct answer: 1. All person have equal right to be selected

Explanation: Ans. is 'a' i.e. All person have equal right to be selected In simple random sampling, the sample is drawn in such a way that each unit has an equal chance of being drawn in the sample.